A 27 yr old worker fall from a roof and is brought to the emergency department. His physical examination and computed tomography (CT) scan reveal dislocation fracture of the thoracic vertebrae. The fractured body of the T7 vertebra articulates with which of the following parts of the ribs?
1. Head of the sixth rib
2. Neck of the seventh rib
3. Tubercle of the seventh rib
4. Head of the eighth rib

Correct answer: 4. Head of the eighth rib

Explanation: The body of vertebra T7 articulates with the head of the seventh and eighth ribs. The neck of a rib does not articulate with any parts of the vertebra. The transverse process of the vertebra articulates with the tubercle of the corresponding rib.